In cell death, myelin bodies are derived from
1. RER
2. Cell Membrane
3. Cytoplasm
4. Lysosome

Correct answer: 2. Cell Membrane

Explanation: Myelin bodies are membrane bounded myelin figures. These are derived from the plasma membrane and represent the whorls of phospholipids.